Which of the following is false about Calciphylaxis
1. It is Calcific arteriopathy in chronic kidney disease
2. Livedo reticularis can be seen
3. Vascular Calcification is seen
4. Associated with hypoparathyroidism

Correct answer: 4. Associated with hypoparathyroidism

Explanation: Hyperparathyroidism , increased use of oral Calcium and warfarin treatment are risk factors.